Structure not passing through the superior orbital fissure:
1. Superior ophthalmic vein
2. Trochlear nerve
3. Abducent nerve
4. Zygomatic nerve

Correct answer: 4. Zygomatic nerve

Explanation: Located posteriorly between the greater and lesser wings of the sphenoid; Superior orbital fissure communicates with the middle cranial fossa. It transmits the lacrimal nerve, the frontal nerve, the trochlear nerve, the oculomotor nerve (upper and lower divisions), the abducent nerve, the nasociliary nerve, and the superior ophthalmic vein.Zygomatic nerve passes through inferior orbital fissure